Following is a bacterial infection –
1. Pyodenna gangrenosum
2. Impetigo herpitiformis
3. Pitted keratolysis
4. Mycosis fungoides

Correct answer: 3. Pitted keratolysis

Explanation: Pitted keratolysis is caused by opprtunistic bacteria corynebacterium dermatophilus congolensis.